Testamentary capacity is the ability to:
1. Give evidence in a court of law
2. Enter into a contract
3. Make a will
4. Give consent

Correct answer: 3. Make a will

Explanation: Testamentary capacity (testament = will) is the mental ability to make a valid will. Will denotes any testamentary document. The requirement for a valid will are as follows. A written and properly signed and witnessed document must exist. The testator must be a major and of sound disposing mind at the time of making the will. Force undue influence or dishonest representation of facts, should not have been applied by others. Ref: The Essentials of Forensic Medicine and Toxicology 29th Ed Page 431